Which of the following is not a function of lung?
1. Gaseous exchange
2. Erythropoietin secretion
3. Renin angiotensin system
4. pH maintenance

Correct answer: 2. Erythropoietin secretion

Explanation: Metabolic and excretory functions of lungs:Synthesized and used in the lungs SurfactantSynthesized or stored and released into the blood Prostaglandins Histamine KallikreinPartially removed from the blood Prostaglandins Bradykinin Adenine nucleotides Serotonin Norepinephrine AcetylcholineActivated in the lungs Angiotensin I - angiotensin IIRef: Ganong review of medical physiology 23rd edition Page no: 606